Internal hordeolum is due to inflammation of-
1. Zeis gland
2. Meibomian glands
3. Moll's gland
4. Lacrimal gland

Correct answer: 2. Meibomian glands

Explanation: Internal hordeolum It is suppurative inflammation of the meibomian gland which is associated with blockage of the duct. C/F: acute severe pain and swelling of eye lid away from the margin, mild watering and photophobia The pain is more intense in internal than external hordeolum, due to the swelling being embedded deeply in the dense fibrous tissue. External hordeolum- It is an acute suppurative inflammation of lash follicle and its associated glands of Zeis or Moll.